In which of the following infection, examination of stool shows Charcot Leyden crystal?
1. Amoebic dysentery
2. Bacillary dysentery
3. Shigella
4. Bacillus cereus

Correct answer: 1. Amoebic dysentery

Explanation: Diagnosis amoebiasis is most commonly made by identifying organisms in the stool. Stool evaluation for organisms is not highly sensitive, and at least three stool specimens should be evaluated after concentration and staining. Charcot-Leyden crystals may be found in the stools of patients with amebiasis but are not pathognomonic. Ref: Netter's Infectious Diseases By Elaine C. Jong, Dennis L. Stevens, 2011, Chapter 75.